Which of the following techniques is the best for differentiating recurrence of brain tumour from radiation therapy induced necrosis?
1. MRI
2. Contrast enhanced MR1
3. PET scan
4. CT scan

Correct answer: 3. PET scan

Explanation: Ans. PET scan